Following structure passing through Carpal tunnel EXCEPT
1. FDP
2. FD superficialis
3. FP longus
4. Palmaris longus

Correct answer: 4. Palmaris longus

Explanation: (D) Palmaris longus # Carpal tunnel syndrome: This is a syndrome characterised by the compression of the median nerve as it passes beneath the flexor retinaculum.> Clinical features: The patient is generally a middle aged woman complaining of tingling, numbness or discomfort in the thumb and radial one and a half fingers i.e., in the median nerve distribution.> The tingling is more prominent during steep.> There is a feeling of clumsiness in carrying out fine movements.> A total of nine flexor tendons passes through the carpal tunnel1. FDP (4 tendons), 2. FDS (4 tendons), 3. Flexor pollicis longus, 4. Median nerve